Necrotizing epitheloid cell granulomas are seen in all, except -
1. Tuberculosis
2. Wegener's granulomatosis
3. Cat's Scratch disease
4. Leprosy

Correct answer: 4. Leprosy

Explanation: Mycobacterium leprae infection leads to formation of non caseating granulomas, which is not necrotising.the lesions are erythematous type Basic Pathology, Robbins. Page no.: 56